Investigation of choice for choledochal cyst is
1. Graham chole's test
2. MRCP
3. ERCP
4. USG

Correct answer: 2. MRCP

Explanation: The investigation of choice for Choledochal cyst is MRCP-to see the status of pancreatic & biliary system and pancreaticobiliary maljunction. Reference:SRB's manual of surgery,5th edition,page no:638.